The amino acid deficiency that could be expected in a case of high cereal intake and poor nutritional bance is which of the follwoing?
1. Alanine
2. Lysine
3. Methionine
4. Cysteine

Correct answer: 2. Lysine

Explanation: Cereals are deficient in lysine, but are rich in cystine and methionine. Legumes on the other hand are rich in lysine but deficient in sulfur containing amino acids. Thus, by combining cereals with legumes, the overall protein quality is improved.